Patient on Verapamil should not be given beta blocker to prevent:
1. Conduction block
2. Bronchospasm
3. Neurogenic shock
4. Anaphylaxis

Correct answer: 1. Conduction block

Explanation: Adverse effects of CCBs - Nausea, constipation and bradycardia are more common with Verapamil.

 Verapamil can accentuate conduction defect-should be avoided in 2nd & 3rd degree block, in sick sinus syndrome and along with beta-blocker.
 Most common side effects of DHPs are palpitation, flushing, hypotension, headache, ankle edema, drowsiness and nausea.
 Nifedipine can paradoxically increase the frequency of angina in some patients.
 Nifedipine can cause voiding difficulty in elderly (relaxant effect on the bladder) and glucose intolerance (decreases insulin release).